The fixative used in histopathology
1. 10% buffered neutral formalin
2. Bouins fixative
3. Glutaraldehyde
4. Ethyl alcohol

Correct answer: 1. 10% buffered neutral formalin

Explanation: Tissue cassettes along with the unique number given in the gross room to the tissue sample are carried throughout laboratory procedures. Majority of histopathology departments use automated tissue processors (Fig. 2.1) having 12 separate stages completing the cycle in about 18 hours by overnight schedule as under:10% formalin for fixation;ascending grades of alcohol (70%, 95% through 100%) for dehydration for about 5 hours in 6-7 jars, xylene/toluene/chloroform for clearing for 3 hours in two jars; and paraffin impregnation for 6 hours in two thermostat-fitted wax baths. Commonest fixative for light microscopic examination: 10% buffered neutral formalin. Commonest fixative for electron microscopic examination: Glutaradehyde. HARSH MOHAN Textbook of pathology 6th edition pg no 10